Which of following parameters increase by 40 percent in pregnancy
1. Mean arterial pressure
2. Heart rate
3. Cardiac output
4. Diastolic BP

Correct answer: 3. Cardiac output

Explanation: Cardiac output increase by 40% in pregnancy beginning from 5th week and maximum between 28 → 32 weeks.
70 % increase in cardiac output occurs in immediate post partum period.